All of the following are diagnostic criteria of allergic Fungal sinusitis (AFS) except:
1. Areas of High attuenuation on CT scan
2. Orbital invasion
3. Allergic eosinophilic mucin
4. Type 1 Hypersensitivity

Correct answer: 2. Orbital invasion

Explanation: Allergic fungal sinusitis is a noninvasive form of fungal sinusitis as such orbital invasion is not its feature.